A "holograph will" is -
1. Testator dictates and written by relatives
2. Testator dictates and written by doctor
3. Doctor dictates and written by relatives
4. Testator is written in his own handwriting

Correct answer: 4. Testator is written in his own handwriting

Explanation: Holograph will is one which is written by the testator in his own handwriting.